Tobe Ayer's Test is seen in ?
1. Acute mastoiditis with lateral sinus thrombosis
2. Maxillary cancer with spread to nasal cavity
3. Rhinosporidiosis
4. Jugular vein thrombosis

Correct answer: 1. Acute mastoiditis with lateral sinus thrombosis

Explanation: Ans' is'a'i.e., Acute mastoiditis with lateral sinus thrombosis